Which of the following antimicrobial agents act solely on the gram positive bacterial cell wall :
1. Ciprofloxacin
2. Gentamicin
3. Tetracycline
4. Vancomycin

Correct answer: 4. Vancomycin